Pseudohermaphroditism in a female child is most commonly due to
1. 21- hydroxylase deficiency
2. 17-hydroxylase deficiency
3. 11-hydroxylase deficiency
4. 3-hydroxylase deficiency

Correct answer: 1. 21- hydroxylase deficiency

Explanation: Excess androgen production is the most common cause of disorder of sexual differentiation (pseudohermaphroditism) mainly 21- hydroxylase deficiency. Others are 11- beta-hydroxylase and 3 beta-hydroxysteroid dehydrogenase deficiency Image : Female pseudohermaphroditism with normal uterus. A, Sonographic view of the external genitalia; note the enlarged clitoris (C) with fused prominent labia (L). B, The corresponding postnatal disposition verifying enlarged clitoris and fused labia. Reference: Ghai essential of paediatrics, eighth edition, p.no:538